Spinal epidural space contains
1. Areolar tissue and internal vertebral venous plex uses
2. Only areolar tissue
3. Only cerebrospinal fluid
4. Vertebral venous plexus and cerebrospinal fluid

Correct answer: 1. Areolar tissue and internal vertebral venous plex uses

Explanation: Epidural space This is the interval which seperates the periosteum in the vertebral canal from the spinal duramater.The space is filled with loose areolar tissue,semiliquid fat,a network of veins,and the small arteries which supply the structures in the vertebral canal. REF.CUNNINGHAM'S MANUAL OF PRACTICAL ANATOMY,Vol.3,PG.193